While exposing the kidney from behind, all of the following nerves are liable to injury except -
1. Lateral cutaneous nerve of thigh
2. Ilioinguinal nerve
3. Subcostal nerve
4. Iliohypogastric nerve

Correct answer: 1. Lateral cutaneous nerve of thigh

Explanation: Posterior relation of Kidney
-        Vessels- Subcostal vessels
-        Nerves- subcostal, iliohypogastric, ilioinguinal
-        Muscles- diaphragm, psoas major, quadratus lumborum, transversus abdominis.
-        Ligaments- medial and lateral arcuate ligaments
-        Others
o   Right kidney- 12th rib
o   Left kidney- 11th & 12th ribs